All are stages of death, except:
1. Denial
2. Anger
3. Bargaining
4. Agitation

Correct answer: 4. Agitation

Explanation: DEATH AND DYING Stages of Dying Explained by Elizabeth Kubler Ross Stages 1) Denial & shock D 2) Anger A 3) Bargaining B 4) Depression D 5) Acceptance A